Thoracic duct doesn't drain :
1. Right upper part
2. Left upper part
3. Left lower part
4. Right lower part

Correct answer: 1. Right upper part

Explanation: Right upper part drains lymphatics into the right lymphatic duct whereas the rest of the body drains into the thoracic duct. The thoracic duct is a continuation of cistern chyle as it pass through aortic hiatus at the level of T12. At T5, it crosses to left side and drains at left jugulosubclan venous angle at C5. Ref: Gray's Anatomy The Anatomical Basics of Clinical Practice 41 e pg 979.